Herpetic Whitlow is seen in
1. Fingers
2. Lymph nodes
3. Bone
4. Tongue

Correct answer: 1. Fingers